Children born to mothers with SLE are likely to have one of the following anomalies?
1. ASD
2. TOF
3. TGA
4. Complete heart block

Correct answer: 4. Complete heart block

Explanation: The most common cardiac manifestation of infants born to SLE mother is congenital heart block.Conduction system abnormalities range from the prolongation of PR interval to complete heart block, with the development of progressive cardiomyopathy in the most severe cases.Anti -La antibody(anti SSB ANTIBODY) is associated with increased risk of neonatal lupus in offspring(congenital heart block)Conduction system abnormalities can be detected in utero by fetal ECHO beginning at 16wks of gestational age.DEXAMETHASONE is used in the antennal management of congenital heart block.